All except one is true about Hot flushes
1. Affects only upper trunk and head and neck
2. Starts to occur a year before menopause
3. occurs upto one year after menopause
4. Possible role of serotonin is implicated

Correct answer: 3. occurs upto one year after menopause

Explanation: Hot flushes start to occur a year or two before menopause, intensify in 1st year after menopause and on an average last upto 5 years.